Ganglia spared in lumbar sympathectomy -
1. L1
2. L2
3. L3
4. L4

Correct answer: 1. L1

Explanation: Ans. is 'a' i.e., LI * If unilateral sympathectomy is done, LI L2, L3 and L4 ganglia needs removal for sympathetic denervation of lower limb.* If bilateral sympathectomy is done, on one side LI ganglion is to be preserved otherwise patient will develop impotence.